Terson syndrome is characterized by :
1. Extradural hemorrhage
2. Subarachnoid hemorrhage
3. Intraparenchymal hemorrhage
4. Intradural hemorrhage

Correct answer: 2. Subarachnoid hemorrhage

Explanation: Terson syndrome includes sub arachnoid hemorrhage along with vitreous hemorrhage.